Pompholyx affects?
1. Flexors
2. Extensors
3. Palms and soles
4. Face

Correct answer: 3. Palms and soles

Explanation: Ans. is 'c' i.e., Palms and soles Pompholyx (vesicular endogenous eczema/ dyshidrotic eczema)* It is a form of hands and feet eczema characterised by vesicles or bullae (blisters). It is sometimes subclassified as cheiropompholyx (hands) and pedopompholyx (feet).Predisposing factors* Females sex, palmoplantar hyperhidrosis, atopic eczema, tinea ('id* reaction)Clinical presentation* Presents as recurrent crops of deep-seated blisters on the palms and soles associated with intense itching and/ or a burning sensation. The blisters peel off and the skin then appears red, dry and has painful fissures (cracks). It can result in paronychia (nail fold swelling) and nail dystrophy with irregular pitting and ridges.* Secondary bacterial infection with Staphylococcus aureus and/or Streptococcus pyogenes is common in pompholyx, and results in pain, swelling and pustules on the hands and feet.TreatmentA. General measures -Wet dressings with dilute potassium permanganate, aluminium acetate or acetic acid, Cold packs, Soothing agents, antiperspirants at night, protective gloves, well-fitting footwearB. Medicines- Ultrapotent topical corticosteroid creams and ointments. Short courses of systemic corticosteroids, eg prednisone or prednisolone, for flare-ups. Other - Oral antistaphylococcal antibiotics, immune modulating medicines (severe cases). Alitretinoin is used for resistant chronic disease.C. Other options - Superficial radiotherapy, Botulinum toxin injections ,Phototherapy and photochemotherapy (PUVA) therapy